Aggravation of symptoms of angina in a patient when given nitrates is seen in-
1. Aortic regurgitation
2. Mitral regurgitation
3. Single left coronary artery stenosis
4. Idiopathic hypertrophic subaortic stenosis

Correct answer: 4. Idiopathic hypertrophic subaortic stenosis

Explanation: In subaortic stenosis, if vasodilators are given, it reduces the afterload, hence increasing the pressure gradient between the LV and aorta. This increases the ejection murmur. Ref Davidson 23rd edition pg 441